The following is always an indication of cesarean section, except:
1. Abruption Placentae
2. Untreated stage of Ib Ca cervix
3. Active primary genital herpes
4. Type IV Placenta Previa

Correct answer: 1. Abruption Placentae

Explanation: Cesarean Section is not indicated in all cases of abruptio placentae.

“An attempt at vaginal delivery is indicated if the degree of separation appears to be limited and if continuous FHR tracing is reassuring. When the placental separation is extensive but the fetus is dead or of dubious viability, vaginal delivery is indicated”.

COGDT 10/e, p 334

In carcinoma cervix, classical cesarean section should be done, vaginal delivery should not be allowed because of cervical dystocia and injuries.

Dutta Obs. 7/e, p 308

Cesarean section is indicated in an active primary genital HSV infection where the membranes are intact or recently ruptured.

Dutta Obs. 7/e, p 300

In severe degree of placenta previa (Type II posterior, Type III or Type IV), cesarean section is indicated for maternal interest even if the baby is dead.

Dutta Obs. 7/e, p 252